Extensive involvement of deep white matter with hyperdense thalamic lesion on non-contrast CT scan of the brain is seen in:
1. Krahhe's disease
2. Alexander disease
3. Metrachromatic Leukodystrophy
4. Cannavan's disease

Correct answer: 1. Krahhe's disease

Explanation: Ans. Krahhe's disease